Maximum cervical dilatation during labor is:
1. 6 cm
2. 8 cm
3. 10 cm
4. 12 cm

Correct answer: 3. 10 cm

Explanation: Ans. C i.e. 10 cm